Basic electrical rhythm is not seen in?
1. Stomach
2. Duodenum
3. Esophagus
4. Cecum

Correct answer: 3. Esophagus

Explanation: Ans. is 'c' i.e., Esophagus lRef: Ganong 24th/e p. 5041